Pityriasis rosea true:
1. Self-limiting
2. Chronic relapsing
3. Life threatening infection (autoimmune disease)
4. Caused by dermatophytes

Correct answer: 1. Self-limiting

Explanation: Ans. a. Self-limitingPityriasis RoseaIt is an acute, self-limiting disease, probably infective in origin, affecting mainly children and young adults, characterized by a distinctive skin eruption and minimal constitutional symptoms.EtiologyMost common: Human herpes virus HHV 7 and HHV 6 Drugs: Arsenic, bismuth, lithium, metronidazole, barbiturates, captopril, ketotifen.Vaccination: Hep B/BCGMother/herald patch-Solitary annular plaque which heralds the disease . Followed by multiple oval shaped symmetrically arranged collarette scaly plaques along the lines of cleavage involving bathing trunk area.Variants of P.R: Papular, vesicular, pustular, hemorrhagic, purpuric, inverse, EMF like, giant, urticarial without herald patch.TreatmentEssentially symptomatic